Facial Colliculus is seen in:
1. Midbrain
2. Pons
3. Medulla
4. Interpeduncular foosa

Correct answer: 2. Pons

Explanation: B i.e., Pons Facial colliculus is a slight elevation in the rhomboid fossa (or floor of zIth ventricle) produced by the fibers from motor nucleus of facial nerve looping over abducent (motor) nucleus. It lies at the inferior end of medial eminence in pons.